In apoptosis, Apaf-1 is activated by release of which of the following substance from the mitochondria?
1. Bcl-2
2. Bax
3. Bcl-XL
4. Cytochrome C

Correct answer: 4. Cytochrome C